A women noticed mass in her left breast with bloody discharge. Histopathology revealed duct ectasia. Treatment is?
1. Simple mastectomy
2. Microdochotomy
3. Lobectomy
4. Hadfield operation

Correct answer: 4. Hadfield operation

Explanation: Hadfield operation Duct ectasia is dilatation of lactiferous ducts often associated with periductal inflammation, the pathogenesis of which is unknown. The dilated ducts are filled with brown or green coloured secretions. These fluids cause an irritant reaction in the surrounding tissue leading to periductal mastitis or even abscess and fistula formation. This may lead in some cases to a chronic indurated mass beneath the areola, mimicking a carcinoma. Eventually fibrosis develops which may cause nipple retraction. Clinical features- Nipple discharge of any colour, abscess, mammary duct fistula, subareolar mass and nipple retraction. Treatment Antibiotic therapy may be tried but surgery is mostly required to cure this notoriously difficult condition. Surgery consists of excision of all the major ducts (Hadfield's operation)